Corneal sensation is diminished in –
1. Band Keratopathy
2. Exposure keratitis
3. Phlyctenular keratitis
4. Dendritic keratitis

Correct answer: 4. Dendritic keratitis